Which of the following is true about Torus tubarius?
1. Nasopharyngeal bursitis
2. Most common site of carcinoma nasopharynx
3. Tubal elevation in lateral wall of nasopharynx
4. Gives rise to Rathkes pouch

Correct answer: 3. Tubal elevation in lateral wall of nasopharynx

Explanation: Ans. c. Tubal elevation in lateral wall of nasopharynxRef: Disease of Ear, Nose and Throat by Dhingra; 7th Ed Page No- 61, 277-84 and Logan Turners Disease of the Nose, Throat and Ear 11th Ed; Page No-154Nasopharynx part of the pharynx extends from the skull base to the soft palate and communicates with the nose anteriorly through the posterior choanae. In its posterior wall is a collection of lymphoid tissue, the pharyngeal tonsil or adenoids.On the lateral wall is the opening of the auditory (eustachian) tube, which is surrounded superiorly, posteriorly and inferiorly by a prominent ridge, the torus, formed by the medial end of the cartilaginous auditory tube.It is 1-1.25 cm behind the inferior turbinate.Transnasal endoscopic appearance of the nasopharynxRathke's pouch is represented by a dimple, high in nasopharynxPosterior to this is a slit-like space, which is the fossa of Rosenmiiller.Fossa of Rosenmiiller is the most common site for origin of nasopharyngeal carcinoma.Inflammation of nasopharyngeal bursa is called nasopharyngeal bursitis.